Most common site for avascular necrosis of femur is:
1. Subcapital
2. Transcervical
3. Trochanteric
4. Basal

Correct answer: 1. Subcapital

Explanation: A i.e. Subcapital fracture Avascular necorsis & Non union are most common in subcapital type of fracture neck femur Q & least common in basal neck femur Q.